Lymph flow from the foot is
1. Increased when an individual rises from the supine to standing position
2. Increased by massaging the foot
3. Increased when capillary permeability is decreased
4. Decreased when the valves of the leg veins are incompetnet

Correct answer: 2. Increased by massaging the foot

Explanation: B i.e. Increased by massaging the footFoot massage increases the rate of lymph flow by causing intermittent external compression of lymphatic vessels, which promotes pumping of lymph.